First pit and fissure sealant:
1. Novaseal
2. Newseal.
3. Selfseal
4. Highseal

Correct answer: 1. Novaseal